Local anesthetics act by:
1. Affecting at the spinal level
2. Affecting the Na+ channels
3. Affecting the K+ channels
4. Blocking axonal transport

Correct answer: 2. Affecting the Na+ channels

Explanation: The primary mechanism of action is by blockade of voltage gated sodium channels and block sodium entry into cell. From padmaja 4th edition Page no 200